All of the following are indications for tracheostomy except ?
1. Coma after head injury
2. Maxillofacial injury
3. Bilateral abductor palsy
4. Superior laryngeal nerve palsy

Correct answer: 4. Superior laryngeal nerve palsy

Explanation: Tracheostomy A tracheostomy is a surgical procedure to create an opening through the neck into the anterior wall of trachea. A tube is usually placed through this opening to provide an airway and to remove secretions from the lungs. The tube is called tracheostomy tube. Ref : HAZARIKA 3RD ED.